Amyloidosis is most commonly seen in
1. Maturity onset DM
2. Type1DM
3. Type2DM
4. Equally seen with all forms of DM

Correct answer: 3. Type2DM

Explanation: Ref Robbins 8/e p253; 9/e p259 Amyloid replacement of islets is a characteristics finding in individual with long standing type 2 diabetes .it is believed that the islet amyloid protein is directly cytotoxic to isletsanalogous to the role played by amyloid plaques implicated in the pathogenesis of Alzheimer's disease